In which of the following conditions we don't except to find reticulocytosis?
1. Autoimmune hemolytic anemia
2. Acute bleeding
3. Hereditary spherocytosis
4. Anemia of CRF

Correct answer: 4. Anemia of CRF

Explanation: In the first 3 options there is RBC destruction so reticulocytosis is expected. Reticulocytes compose about 1% of the red cells in the human body. It is commonly seen in anemia. They are seen on blood films when the bone marrow is highly active in an attempt to replace red blood cell loss such as in haemolytic anaemia, haemorrhage. The number of reticulocytes is a good indicator of bone marrow activity.